Marbling is due to ?
1. Veins becoming visible due to decomposition of blood
2. Clotting ofblood in veins
3. Lightening
4. None of the above

Correct answer: 1. Veins becoming visible due to decomposition of blood